Which of the following will have the highest magnitude of the increased Alveolar arteriolar gradient at rest?
1. Interstitial lung disease
2. Massive Pulmonary embolism
3. Acute severe asthma
4. FB leading to upper airway obstruction

Correct answer: 2. Massive Pulmonary embolism

Explanation: Normal alveolar arteriolar gradient is 5-15 mm Hg. In interstitial lung disease, diffusion effect is present but PO2 can be normal and decreases in exercise. Hence in ILD A-a gradient is normal at rest and increases in exercise Massive pulmonary embolism, the increased dead space leads to very low PO2 and an increase of A-a gradient. Choice C and D are easily ruled out as both leads to hypoventilation leading to normal A-a gradient.